The yolk sac is derived from -
1. Hypoblasts
2. Epiblasts
3. Syncytiotrophoblast
4. None

Correct answer: 1. Hypoblasts

Explanation: Ans. is 'a' i.e., Hypoblasts o The yolk sac initially appears as a transient primary yolk sac, develops from hypoblast cells. By the end of 2nd week, the lower half of primary yolk sac pinches off to form definitive yolk sac, while the second wave of hypoblast cells from the inner lining of the definitive yolk sac.